The reaction : Acetoacetyl CoA + succinate → succinyl CoA+acetoacetate occurs in all of the following except
1. Brain
2. Striated muscle
3. Liver
4. Cardiac muscle

Correct answer: 3. Liver

Explanation: Liver

The first reaction in use of ketone bodies is activation of acetoacetate.
Liver lacks the enzyme CoA transferase; hence cannot utilize ketone bodies.